Calcium and alginate added during mixing of alginate will cause:
1. Accelerate alginate setting.
2. Retard alginate setting.
3. No effect on setting.
4. None of the above.

Correct answer: 1. Accelerate alginate setting.

Explanation: Any addition of Calcium and alginate during mixing leads to reduced or surpasses the ability of trisodium phosphate to retard the reaction and a very fast setting reaction and the formation of an insoluble calcium alginate occurs.